Telomerases are :
1. DNA dependent DNA polymerases
2. Highly active in somatic cells
3. Contain 2-3 oligosaccharide groups
4. Maximum activity in germ cells

Correct answer: 4. Maximum activity in germ cells

Explanation: Telomerases are RNA dependent DNA polymerases (Reverse transcriptases)
Ther are Ribonucleoproteins in nature.
They are active in germ cells and stem cells.